Which of the following is associated with bad prognosis -
1. Catatonic schizophrenia
2. Hebephrenic schizophrenis
3. Paranoid schizophrenia
4. Undifferentiated

Correct answer: 2. Hebephrenic schizophrenis